True regarding the contractive of graft is
1. Thicker the graft more the secondary contracture
2. Thinner the graft more the primary contracture
3. Thicker the graft more is primary and secondary contracture
4. Thinner the graft more the secondary contracture

Correct answer: 4. Thinner the graft more the secondary contracture

Explanation: Thicker the graft more the primary contracture. Thinner the graft more the secondary contracture.